Cryoprecipitate contain all except
1. Fibrinogen
2. Factor 8
3. Von willebrand factor
4. Antithrombin

Correct answer: 4. Antithrombin

Explanation: Refer Harsh mohan6th edition 340